All except one are true regarding thiopentone
1. Thiopentone has high lipid solubility
2. Has rapid onset of action due to rapid redistribution of drug
3. It can’t be used as analgesic agent
4. It is contraindicated in asthma patients.

Correct answer: 2. Has rapid onset of action due to rapid redistribution of drug

Explanation: Thiopentone is rapidly redistributed because of which it is ultra short acting .rapid onset of action is due to high lipid solubility.